Partial claw hand is caused by lesion involving the:
1. Radial nerve
2. Ulnar nerve
3. Median nerve
4. Anterior interosseous nerve

Correct answer: 2. Ulnar nerve

Explanation: Ans. B: Ulnar Nerve